Largest branch of vertebral artery is
1. Anterior spinal
2. Posterior spinal
3. Anterior inferior cerebellar
4. Posterior inferior cerebellar

Correct answer: 4. Posterior inferior cerebellar

Explanation: Anterior inferior cerebellar artery is a branch of Basilar artery